Nails is formed in which week of IUL –
1. 0 – 6 week
2. 10 –12 week
3. 14 – 18 week
4. 20 – 24 week

Correct answer: 2. 10 –12 week